Dysgerminoma is
1. Epithelial ovarian tumor
2. Sex cord stromal tumor
3. Germ cell tumor
4. Metastatic ovarian tumor

Correct answer: 3. Germ cell tumor

Explanation: Dysgerminoma is germ cell tumor of ovary.